Stimulation of horizontal semicircular canal causes nystagmus in which directions -
1. Vertical
2. Horizontal
3. Rotary
4. Any of thethree

Correct answer: 2. Horizontal

Explanation: Ans. is 'b' i.e., Horizontalo The cupulae of the semicircular canals are stimulated by movement of endolymphatic fluid and each canal causes the nystagmus in its own planeStimulation of horizontal SCC - Horizontal nystagmus.Stimulation of superior SCC - Rotary nystagmus.Stimulation of vertical SCC - Vertical nystagmus